What is the treatment for medullary carcinoma rhyroid?
1. Total Thyroidectomy
2. Subtotal Thyroidectomy
3. Neartotal Thyroidectomy
4. Lobectomy

Correct answer: 1. Total Thyroidectomy

Explanation: Ans: a. (Total thyroidectomy)Medullary carcinoma is derived from the parafollicular Ccells.lt has characteristic amyloid stroma.High levels of calcitonin -- used as tumor markerPropensity for familial transmission (see MEN syndromes)Do not take up radioactive iodine.Family members should be screened for RET proto oncogene mutationTreatment of medullary carcinoma thyroid is only surgery (no radio iodine uptake)Total thyroidectomy with central compartment neck dissection is the treatment of choice.Markers secreted by MTC - calcitonin, VIP, serotonin, CEAThyroid malignanciesMC thyroid malignancy - papillary carcinoma MC thyroid cancer in a MNG - follicular carcinoma Thyroid malignancy with highest chance of lymph node metastasis - Medullary carcinoma Metastasis in a lymph node is most commonly from -Papillary carcinoma (Since papillary is much more common)